Formula to calculate intelligence quotient (IQ):
1. Chronological age/Mental age * 100
2. Mental age - Chronological Age * 100
3. Mental age/Chronological age * 100
4. Mental age + Chronological Age * 100

Correct answer: 3. Mental age/Chronological age * 100

Explanation: C i.e. Mental age/Chronological Age * 100Ref: Parks Textbook of Preventive and Social Medicine, 24th editionExplanation:IQ = Mental Age / Chronological Age * 100 Distribution of intelligence in normal populationClassification of TypesI.Q. (Inteligence Quotient)1. Near genius or genius140 and above2. Very superior130-1393. Superior120-1294. Above average110-1195. Normal or average90-1096. Below average80-897. Dull or borderline70-798. Feebleminded, moron50-699. Imbecile25-4910. Idiot0-24